Histones are:
1. Identical to protamine
2. Proteins rich in lysine and arginine
3. Proteins with high molecular weight
4. Insoluble in water and very dilute acids

Correct answer: 2. Proteins rich in lysine and arginine

Explanation: These are proteins containing unusually higher concentration of basic amino acids.
Reference: Vasudevan 7th  ed, pg 576